In Gaucher's disease there is accumulation of --- inside the cells –
1. Galactosidases
2. Sphingomyeline
3. Glucosidases
4. Cerebrosides

Correct answer: 4. Cerebrosides

Explanation: Lysosomal storage diseases 

Lysosomes are key components of the intracellular digestive tract.
They contain a battery of hydrolytic enzymes.
These hydrolytic enzymes catalyze the breakdown of a variety of complex macromolecules.
With an inherited deficiency of a functional lysosomal enzyme, catabolism of its substrate remains incomplete, leading to accumulation of the partially degraded insoluble metabolite within the lysosomes.
Stuffed with incompletely digested macromolecules, these organelles become large and numerous enough to

interfeie with normal cell functions, giving rise to the lysosomal storage disorders.
Important lysosomal storage diseases